A patient presented with multiple nodulocystic lesions on the face. The drug of choice is –
1. Retinoids
2. Antibiotics
3. Steroids
4. UV light

Correct answer: 1. Retinoids

Explanation: The DOC for nodulocystic acne is oral isotretinoin (13-Cis Retinoic acid)

Indications of isotretinoin → Severe acne (>25 lesions), Nodulocystic lesions, Large nodular lesions,Moderate acne not responding to oral antibiotics (Recalcitrant acne).